True statement about phase 2 clinical trials is:
1. Large number of healthy volunteers are studied
2. Used to determine maximum tolerated dose
3. Used to determine efficacy
4. Used to determine toxicity

Correct answer: 3. Used to determine efficacy